Kayer fleischer ring affects:
1. Conjunctiva
2. Epithelium layer
3. Bowman's layer
4. Descemets membrane

Correct answer: 4. Descemets membrane

Explanation: Ans. (d) Descemets membraneRef: A.K. Khurana 6th ed. /434* Chalcosis: refers to the specific changes produced by accumulation of copper in the eye.* Clinical feature:# Kayser-fleischer ring: It is a golden brown ring which occurs due to deposition of copper in the peripheral parts of the Descemets membrane of the cornea.# Sunflower cataract: produced by deposition of copper on the posterior capsule of the lens.# Retina: It may show deposition of golden plaques at the posterior pole which reflect the light with a metallic sheen.